Nitric oxide acts by:
1. cGMP
2. cAMP
3. Calcium
4. Kinase

Correct answer: 1. cGMP

Explanation: Ans: A (cGMP) Ref: Harper's Illustrated biochemistry, 28th edition.Explanation:Classification of Hormones by Mechanism of ActionI. Hormones that hind to intracellular receptors* Androgens* Calcitriol (1.252-D3) Estrogens* Glucocorticoids* Mineralocorticoids* Progestins* Retinoic acid* Thyroid hormones (T3 and T4)II. Hormones that bifid to cell surface receptorsA. The second messenger is cAMP* Alpha2 -Adrenergic catecholamines* Alpha-Adrenergic catecholamines* Adrenocorticotropic hormone* Antidiuretic hormone* Calcitonin* Chorionic gonadotropin, human* Corticotropin-releasing hormone* Follicle-stimulating hormone* Glucagon* Lipotropin* Luteinizing hormone* Melanocyte-stimulating hormone* Parathyroid hormone* Somatostatin* Thyroid-stimulating hormoneB. The second messenger is cGMP* Atrial natriuretic factor* Nitric oxide (EDRF)C. The second messenger is calcium or phosphatidvlinositols (or both)* Acetylcholine (muscarinic)* Alpha1 -Adrenergic catecholamines* Angiotensin II* Antidiuretic hormone (vasopressin)* Cholecystokinin* Gastrin* Gonadotropin-releasing hormone* Oxytocin* Platelet-derived growth factor* Substance P* Thyrotropin-releasing hormoneD. The second messenger is a kinase or phosphatase cascade* Adiponectin* Chorionic somatomammotropin* Epidermal growth factor* Erythropoietin* Fibroblast growth factor* Growth hormone* Insulin* Insulin-like growth factors I and II* Leptin* Nerve growth factor* Platelet-derived growth factor* Prolactin